Frequent suicidal tendencies are seen in which of the following:
1. Schizophrenia
2. Severe depression
3. Borderline personality disorder
4. All of the above

Correct answer: 4. All of the above

Explanation: Ans. D: All of the above